The risk of complex hyperplasia of endometrium with atypia progressing to malignancy in a postmenopausal woman is :
1. 3%
2. 8%
3. 15%
4. 29%

Correct answer: 4. 29%

Explanation: WHO classification of Progression to Carcinoma The risk of complex hyperplasia of endometrium with atypia progressing to malignancy in a postmenopausal woman is 29% Reference : Textbook of Gynaecology; Sheila balakrishnan; 2nd edition; pg no: 248